WHO surveillance is done for all, except-
1. Polio
2. Viral encephalitis
3. Malaria
4. Relapsing fever

Correct answer: 2. Viral encephalitis

Explanation: Ans. is 'b' i.e., Viral encephalitis